All of the following drugs act on ionic channels except:
1. Nicotine
2. Insulin
3. Glibenclamide
4. Diazepam

Correct answer: 2. Insulin

Explanation: Ans. B. Insulina. insulin acts on enzymatic (tyrosine kinase) receptorsb. Nicotine acts on NM and NN receptors which are ion channel receptorsc. Diazepam acts on GABA-BZD-Cl channel complex that mediates entry of chlorided. Glibenclamide is a sulfonylurea that acts on ACh sensitive K+ channels.